BCG vaccine is diluted with:
1. Normal saline
2. Distilled water
3. Dextrose
4. Colloids

Correct answer: 1. Normal saline

Explanation: Lyophilized vaccines & their diluents: BCG vaccine - Normal saline Yellow fever vaccine - cold saline Japanese Encephalitis - phosphate buffer saline HiB - DPT / saline Measles, MMR - Distilled /sterile water